Short stature, secondary to growth hormone deficiency is associated with –
1. Normal body proportion
2. Low birth weight
3. Normal epiphyseal development
4. Height age equal to skeletal age

Correct answer: 1. Normal body proportion